All of the following are used in the treatment of postmenopausal osteoporosis except:-
1. Calcitonin
2. Vitamin D
3. Glucocorticoid
4. Bisphosphonates

Correct answer: 3. Glucocorticoid

Explanation: Glucocorticoids can cause osteoporosis on long term use. DRUGS FOR OSTEOPOROSIS DRUGS Inhibits resorption Stimulates formation Both actions Bisphosphonates Donesumab Cinacalcet Calcitonin Estrogen SERMs Gallium nitrate Teriparatide Calcium Calcitriol Fluoride Strontium renelate